In Sarnat and Sarnat classification of hypoxic ischemic encephalopathy, seizures occur in which stage?
1. Stage 1
2. Stage 2
3. Stage 3
4. Stage 4

Correct answer: 2. Stage 2

Explanation: In Sarnat and Sarnat classification of hypoxic ischemic encephalopathy, seizures occur in: Stage 2